True signs of placental separation are all of the following. except?
1. Fresh bleeding per vaginum
2. Firm Fundus
3. Permanent Lengthening of umblical cord
4. Round flabby uterus

Correct answer: 4. Round flabby uterus

Explanation: Signs of placental separation Lengthening of cord A gush of fresh bleeding Suprapubic bulge, due to firm uterine fundus after placental separation, is the most specific sign A Flabby uterus means that the placenta is still probably stuck to the uterus and hence preventing its proper contraction